Decompression sickness is seen ina) Diverb)  Pilotc)  Mountaineerd)  Long distance drivers
1. ab
2. ac
3. bc
4. cd

Correct answer: 1. ab

Explanation: Sudden decrease in atmospheric pressure results in gas embolism. This is seen in sudden ascent in aircraft, sudden ascent from deep sea etc. This is known as Caisson’s disease or decompression sickness.